Best antihypertensive drug in pulmonary hypertension is
1. Bosenton
2. Amlodipine
3. Furosemide
4. Digoxin

Correct answer: 1. Bosenton

Explanation: Among the given drugs only to drugs that is bosentan and amilodipine are indicated in pulmonary hypertension. Calcium channel blockers like amlodipine are indicated only in those patient who are positive for intravenous vasodilator challenge (less than 5% patient ). The patient is negative then endothelin drugs are indicated like ok Bosenton. Refer Harrison 19e p1659